All of the following passes through lesser sciatic foramen, except ?
1. Pudendal nerve
2. Internal pudendal vessels
3. Nerve to obturator internus
4. Inferior gluteal vessels

Correct answer: 4. Inferior gluteal vessels

Explanation: The lesser sciatic foramen is formed by the lesser sciatic notch of the pelvic bone, the ischial, the sacrospinous ligament and the sacrotuberous ligament. It transmits the following structures: The tendon of the Obturator internus Internal pudendal vessels Pudendal nerve Nerve to the obturator internus